What size of donor cornea is taken in keratoplasty?
1. 2 mm
2. 4 mm
3. 6 mm
4. 8 mm

Correct answer: 4. 8 mm

Explanation: An ideal size is 7.5 mm. Smaller sizes would give rise to astigmatism due to subsequent tissue tension.